Marker for granulosa cell tumor:
1. CA 19-9
2. CA 50
3. Inhibin
4. Teratoma

Correct answer: 3. Inhibin

Explanation: Ans. is 'c' i.e. Inhibin Inhibin is a peptide hormone produced by ovarian granulosa cells that are made up of an alpha sub unit and Beta subunit.Inhibin are of two types - inhibin A and inhibin B.Both inhibin A and B can be elevated in granulosa cell tumours but inhibin B levels are usually elevated more.Typical cutoffs for normal inhibin levels in post- menopausal or oophorectomize women are :* Inhibin A -<= 5 ng/L * Inhibin B -<=15 ng/LInhibin may have an important role in the control of fertility both in the males and females.In females inhibin secretion suppresses FSH but stimulates LH secretion. Administration of inhibit mutationIt can also cause agglutination of sperm prevent cervical mucus penetration and interface with egg interaction